Most common cause of nephrotic syndrome in children -
1. Membranous GN
2. Minimal change disease
3. PSGN
4. RPGN

Correct answer: 2. Minimal change disease

Explanation: Ans. is 'b' i.e., Minimal change disease